Alkaline phosphatase contains
1. Cobalt
2. Zinc
3. Iron
4. Copper

Correct answer: 2. Zinc

Explanation: ALP is a nonspecific enzyme which hydrolyzes aliphatic, aromatic or heterocyclic compounds. the pH optimum for the enzyme reaction is between 9 and 10.it is activated by magnesium and manganese. zinc is a constituent ion of ALP.Ref: DM Vasudevan Biochemistry, page no: 305